Intermediate filaments of epithelial cells is/are:
1. Cytokeratin
2. Microfilaments
3. Microfibrils.
4. All of the above

Correct answer: 1. Cytokeratin

Explanation: They are called intermediate filaments as their diameter is intermediate between larger microtubules and smaller microfilaments.